Among the Drugs used in over active bladder, which of the folloeing has minimum CNS Penetration:
1. Trospium.
2. Tolterodine.
3. Solefenacin.
4. Oxybutynin.

Correct answer: 1. Trospium.

Explanation: It has less CNS penetration because of its quaternary ammonium structure.